"Moon face" appearance is seen in
1. Isolated LeFort I fracture
2. LeFort II and Le Fort III fractures
3. Mandibular fractures
4. UnilateraL zygomatic complex fractures

Correct answer: 2. LeFort II and Le Fort III fractures